The limiting amino acid in wheat is
1. Alanine & threonine
2. Lysine & threonine
3. Zero desk
4. Tyrosine & Methionine

Correct answer: 2. Lysine & threonine

Explanation: (Lysine & threonine) (497 - Park 19th) (543-Park 20th)* WHEAT - limiting amino acid is lysine and threonine* MAIZE - Deficient in tryptophan and some strains excess of leucine* CEREALS - Deficient amino acid is lysine* RICE - Rice protein richer in lysine